Boerhave's syndorme, true is :a) Iatrogenicb) Silent manifestationc) Present with acute chest paind) Treatment is surgical
1. ab
2. bc
3. cd
4. ac

Correct answer: 3. cd